Chocolate-coloured fluid is seen in the cystic space of
1. Dentigerous cyst
2. Odontogenic keratocyst
3. Unicystic ameloblastoma
4. Papillary cystadenoma tymphomatosum

Correct answer: 4. Papillary cystadenoma tymphomatosum